Diatoms are -
1. Algae
2. Parasites
3. Bacteria
4. Fungi

Correct answer: 1. Algae

Explanation: Diatoms are unicellular algae.